Endometriosis is common in :
1. Multiple
2. Peri menopausal age
3. Nullipara
4. Virgins

Correct answer: 3. Nullipara

Explanation: Nullipara